Wernicke's encephalopathy features are all except-
1. Confusion
2. Ataxia
3. Aphasia
4. Nystagmus

Correct answer: 3. Aphasia

Explanation: Ans. is 'c' i.e.. Aphasia o Wernicke's encephalopathy is characterized by a triad of global confusion (alteration in mental function). Ophthalmoplegia (Bilateral 6th nerve palsy) and ataxia. Wernicke's encephalopathy o It is an acute neurological disorder characterized by a classical triad of ataxia, ophthalmoplegia and confusion. The clinical findings include : - Ocular : - Nystagmus, bilateral lateral rectus palsy, conjugate gaze palsies. The most common ocular abnormality is nystagmus, not complete ophthalmoplegia. Less frequently noted are pupillary abnormalities such as the sluggishly reactive pupil, ptosis, scotomas, and anisocoria. CNS (encephalopathy) : - Global confusion, disinterest, inattentiveness or agitation. Rarely stupor and coma may occur. Gait ataxia Peripheral polyneuropathy: Weakness, foot drop, decreased proprioception. Other symptoms : - Autonomic dysfunction (tachycardia & postural hypotension). If there is coexisting cardiovascular beriberi; hypothermia; abdominal symptoms (nausea, vomiting, abdominal pain).